A 35-year-old female presents with recurrent renal stone. What is not advised?
1. Increase water intake
2. Restrict protein
3. Restrict salt
4. Restrict calcium

Correct answer: 4. Restrict calcium

Explanation: Low-calcium diets increase the risk of the incident stone formation. Low-calcium diets lead to the stone formation by reducing the amount of calcium to bind oxalate in the intestine- | urine oxalate levels.